All of the following are used in management of acute severe bleeding due to warfarin overdose except:-
1. Withhold the anticoagulant
2. Vitamin K1
3. Protamine sulphate
4. Fresh frozen plasma

Correct answer: 3. Protamine sulphate

Explanation: Management of warfarin overdose is done as follows: *INR < 5 but above therapeutic range - Discontinue warfarin temporarily and restart at low dose. *INR 5-9 - Vitamin K1 (1 mg oral) *INR > 9 but no bleeding - Vitamin K1 (2 - 3 mg oral) *INR > 20 or bleeding - Four factor prothrombin complex or Fresh frozen plasma.